All of the following statements are true EXCEPT:
1. Cervix is lined by stratified squamous epithelium
2. Cervix is lined by transitional epithelium
3. It gets its blood supply from uterine artery
4. Vagina is lined by nonkeratinized stratified squamous epithelium.

Correct answer: 2. Cervix is lined by transitional epithelium

Explanation: Ans. B Cervix is lined by transitional epitheliumRef: Grays, 41sted. pg. 295* The epithelial lining of cervix is varied. Ectocervix is composed of non keratined stratified squamous epithelium and endocervix is composed of simple columnar epithelium.* Blood supply of cervix-descending cervical branch of uterine artery.Extra Mile* Size of cervix- 2.5 cm (25 mm)* MC site of cervical CA is squamocolumnar junction.* Lining of vagina: Nonkeratinized stratified squamous epithelium (same as mouth, tongue, pharynx, esophagus, cornea and conjunctiva)* Lining of urinary pathway: Transitional epithelium